Osteoclastoma usually occurs in?
1. Epiphysis
2. Metaphysis
3. Diaphysis
4. Can occur anywhere

Correct answer: 1. Epiphysis

Explanation: Giant cell tumor also known as osteoclastoma occurs usually in the epiphysis of long bones. It is benign but locally aggressive.